Sunflower cataract is Seen in
1. Haemochromatosis
2. Wilson's disease
3. Galactosemia
4. Diabetes milletus

Correct answer: 2. Wilson's disease

Explanation: A typical 'sunflower cataract' is seen in disorder of copper metabolism (Wilson's disease). It is produced by deposition of copper under the posterior capsule of the lens. It is brilliant golden green in colour and arranged like the petals of a sun flower. Ref:- A K Khurana; pg num:-410,476,